Tonometer with variation in application surface
1. Mackey Marg tonometer
2. Rebound tonometer
3. Dreger's tonometer
4. Maklakov tonometer

Correct answer: 4. Maklakov tonometer

Explanation: Ans. d. Maklakov tonometer Indentation tonometry Indentation tonometry was devised by SchiotzQ. Because of its simplicity, reliability, low price and relative accuracy, it is the most widely used tonometer in the world. For repeated use in multiple patients it can be sterilized by dipping the footplate in ether, absolute alcohol, acetone or by heating the footplate in the flame of spirit. The greatest accuracy is attained if the deflection of lever is between 3-4. Its main disadvantage is that it gives a false reading when used in eyes with abnormal scleral rigidity') False low level of 10P are obtained in eyes with low scleral rigidityQ seen in high myopes and following ocular surgery Applanation tonometry The concept of Applanation tonometry was introduced by GoldmannQ is 1954. It is best on lmbe-Fick lawQ. Currently, it is the most popular and accurate tonometerQ